Antero-posterior diameter is less and transverse diameter is more in:
1. Gynaecoid pelvis
2. Anthropoid pelvis
3. Android pelvis
4. Platypelloid pelvis

Correct answer: 4. Platypelloid pelvis

Explanation: Platypelloid pelvis